Which of the following is true about Bitots spots-
1. Predispose to pingecula
2. Caused by hyperplasia of goblet cells
3. Seen with fat malabsorption
4. Most common site is nasal site of conjunctiva

Correct answer: 3. Seen with fat malabsorption

Explanation: *Bitot's spot are silvery gray spots on temporal side. These are white keratinized epithelium, i.e. Keratin debris. *They occurs in vitamin A deficiency, i.e. in fat malabsorption. Ref: Clinical ophthalmology p.130